Stratification specific keratins present in gingival epithelium are
1. K1, K2
2. K10, K12
3. K16, K6
4. K5, K14

Correct answer: 4. K5, K14